A decrease in the urine output is called:
1. Dysuria
2. Nocturia
3. Oliguria
4. Polyuria

Correct answer: 3. Oliguria